Regarding Glasgow coma scale, which is NOT true ?
1. Ranges from 6-12
2. Low score indicates deteriorating brain function
3. Based on eye opening, verbal response and motor response
4. Score below 5 shows poor prognosis

Correct answer: 1. Ranges from 6-12

Explanation: Ans. is 'a' i.e., Range from 6-12 Glasgow coma scale is used to determine the conscious level of the patient It is based on EVM i.e. Eye Opening, Verbal response & Motor response